Cystocoele is prolapse of
1. Upper 2/3rd of anterior vaginal wall
2. Lower 2/3rd of anterior vaginal wall
3. Upper 1/3 of anterior vaginal wall
4. Lower 1/3 of anterior vaginal wall

Correct answer: 1. Upper 2/3rd of anterior vaginal wall

Explanation: Cystocoele is prolapse of the anterior 2/3rd vaginal wall while prolapse of lower 1/3rd of the anterior vaginal wall is called as urethrocele. The anterior wall prolapse or cystocele is the most common form of female pelvic organ prolapse Rectocele is prolapse of lower 2/3rd of the posterior vaginal wall Enterocoele is a bulge in the upper 1/3rd of the posterior vaginal wall. Cystocoele is a central defect and it shows the absence of rugae while lateral vaginal sulci are present The surgery of cystocele is anterior colporrhaphy and pubocervical fascia is repaired